All of the following statements about adverse effects of tetracyclines are true, except:
1. May lead to discolouration of teeth
2. Are a common cause of superinfections
3. May precipitate Liver damage
4. Are not known to be teratogenic

Correct answer: 4. Are not known to be teratogenic

Explanation: Tetracyclines are known to have teratogenic effects. Consumption of Tetracycline during pregnancy may cause dental enamel dysplasia and bony deformities in the child. Ref: KDT, 6th Edition, Page 714; Basic and Clinical Pharmacology By Katzung, 10th Edition, Page 748